Maximum radiopaque shadow in ovary is seen in
1. Teratoma
2. Dysgerminoma
3. Mucinous cyst adenoma
4. Granulose cell tumour

Correct answer: 1. Teratoma

Explanation: Teratoma is most radio-opaque because of its calcifications (Ref: Radiology Review Manual by Wolfgang Dahnert 6thEtd, 1010)